A 9-year-old child disturbs other people, is destructive, interferes when two people are talking, does not follow instructions and cannot wait for his turn while playing a game. He is likely to be suffering from
1. Emotional disorders
2. Behavioural Problems
3. No disorder
4. Attention deficit hyperactivity disorder

Correct answer: 4. Attention deficit hyperactivity disorder

Explanation: Hyperkinetic disorders- characterised by early onset, a combination of overactivity, poorly modulated behaviour with marked inattention and lack of persistent task involvement; and pervasiveness over situations and persistence over time of these behavioural characteristics. Hyperkinetic disorders arise early in development (usually in the first 5 years of life). Problems persist through school yeard and even into adult life, but many gradually improve in activity and attention. It is several times common in boys than in girls. Attention deficit disorder with hyperactivity (Hyperkinetic disorder): The characteristic clinical features are:Poor attention span with distractibilityi. Fails to finish the things started.ii. Shifts from one uncompleted activity to another.iii. Doesn't seem to listen.iv. Easily distracted by external stimuli.v. Often loses things.Hyperactivityi. Fidgety.ii. Difficulty in sitting still at one place for long.iii. Moving about here and there.iv. Talks excessively.v. Interference in other people's activities.Impulsivityi. Acts before thinking, on the spur of the moment.ii. Difficulty in waiting for the turn at work or play. Ref:The ICD-10, Classification of mental and behvaioural disorders, CDDG, pg no 206. A Short Textbook of Psychiatry, Niraj Ahuja, 7th Edition, pg. no.166